Modality that is lost on the ipsilateral side in Brown sequard syndrome is
1. Pain
2. Temperature
3. Crude touch
4. Proprioception

Correct answer: 4. Proprioception

Explanation: In Brown sequard syndrome, a hemisection of the spinal cord results in
-        Sensory

Loss of Ipsilateral dorsal column sensations- Proprioception, vibration, fine touch, Kinesthesia. 
Loss of contralateral lateral column sensations- Pain, temperature

-        Motor

Loss of ipsilateral corticospinal action- results in UMNL- Weakness, spasticity, Extensor plantar response.